Biliary stricture developing after laparoscopic cholecystectomy usually occurs at which part of common bile duct
1. Upper
2. Middle
3. Lower
4. All with equal frequency

Correct answer: 1. Upper

Explanation: Incidence of bile duct injury during laparoscopic cholecystectomy is 0.3-0.85 % Classic laparoscopic injury : A long length of the common duct is excised upto the proximal common hepatic duct which is either occluded or left to drain bile into the peritoneal cavity Ref:Sabiston 20th edition. Pg no :1511